Posterior dislocation of hip is characterized by DELETE
1. Marked shortening of limb
2. Lengthening of limb
3. No change in limb length
4. Extension deformity

Correct answer: 1. Marked shortening of limb

Explanation: In posterior dislocation, if hip there is history of trauma & patient has a flexion, adduction & medial rotation deformity of the affected limb.There is marked shortening & gross restriction of movements of the hip Head of the femur is felt as a hard mass in the gluteal region & it moves along with the femur. There could be features of sciatic nerve palsy. *it is difficult to feel the femoral pulse ( vascular sign of Narath is negative) Ref: Textbook of Orthopaedics, John Ebenezer, 5th edition, page no 214